What sequence on the template strand of DNA corresponds to the first amino acid inserted into a protein?
1. 3' TAC 5'
2. 3' UAA 5'
3. 3' UAG 5'
4. 3' AUG 5'

Correct answer: 1. 3' TAC 5'

Explanation: 3' TAC 5' corresponds to the first amino acid inserted into a protein AUG is the codon for the 1st amino acid Template strand Strand of DNA which is being copied by the RNA polymerase. So, it will be complementary to the AUG. Complementary sequence of AUG is 3' TAC 5' hence the answer. Also, DNA does not contain Uracil. Thus options b, c and d can be easily ruled out.